Antrum of Highmore is?
1. Maxillary
2. Ethmoid
3. Sphenoid
4. Frontal

Correct answer: 1. Maxillary

Explanation: The antrum of Highmore is maxillary sinus. It is the largest of paranasal sinuses and occupies the body of the maxilla. (Reference: Textbook of PL Dhingra and Shruti Dhingra; 7th edition, pg no. 209)